Which of the following are masculinizing tumors of the ovary :
1. Granulosa cell tumor
2. Dysgerminoma
3. Dermoid Cyst
4. Arrhenoblastoma

Correct answer: 4. Arrhenoblastoma

Explanation: Ans. is d i.e. Arrhenoblastoma Masculinizina Tumors develop from Sex cord of Embryonic gonad Arrhenoblastoma/Androblastoma Hilus cell Tm Adrenal cortical Tm/ Gynandroblastoma Lipoid cell Tm of ovary Affect child bearing age group * Seen in post- * Combination of (10 - 35 years) menopausal granulosa cell It includes : females tumour & arrheno? Sertoli Cell Tumor (SCT) * Characterised blastoma (70% of SCT - are estrogenic; by presence of 20% of SCT - are androgenic; Reinke's crystals 10% of SCT - have no activity) Leydig cell Tumor Sertoli - Leydig cell Tumor Presentation : All masculinizing tumors cause defeminization, followed by masculinization. Patient complain of : * altered body contour scanty and irregular menstruation f/b amenorrhoea flattening of breast increased hair growth - hirsutism clitoromegaly receeding hair line hoarseness of voice Diagnosis : Serum Testosterone levels raised > 200 ng/dl. Also know : Feminizing Tumors of ovary : - Granulosa cell Tumor Theca cell Tumor.